A 50-year-old lady with thyroid swelling is diagnosed to have papillary carcinoma with mass having 4 cm at greatest diameter and invading strap muscles. Lymph node status was negative. What will be the stage of the disease?
1. Stage I
2. Stage II
3. Stage III
4. Stage IV

Correct answer: 1. Stage I

Explanation: Extrathyroidal extension into strap muscles is T3b, Lymph node status is N0.Patients with below 55 years any T and any N with Mo (no metastasis) is taken as Stage IIf patient was above or 55 years age, would have been stage IIT1<2cmT2 2-4 cmT3a > 4cmT3bExtrathyroidal extension into strap musclesT4Gross extrathyroidal extension*This was recent update in AJCC 8th classification, previously cut off age was 45 yearsRef: AJCC 8th edition